Interstitial nephritis associated with uveitis is seen in:
1. Infections
2. Drugs
3. Autoimmune diseases
4. Allergy

Correct answer: 3. Autoimmune diseases

Explanation: Ans: c (Autoimmune diseases) Ref: Davidson's 20th ed, p. 504CAUSES OF ACUTE INTERSTITIAL NEPHRITISAllergicInfections* Penicillins* Acute bacterial pyelonephritis* NSAIDs* Leptospirosis* Allopurinol* Tuberculosis* Many other drugs* HantavirusImmuneToxic* Autoimmune nephritis +- uveitis* Myeloma light chains * Mushrooms (Cortinarius)